Most common age-related change seen In the vitreous
1. Anterior vitreous detachment
2. Posterior vitreous detachment
3. Vitritis
4. Vitreous haemorrhage

Correct answer: 2. Posterior vitreous detachment

Explanation: VITREOUS DETACHMENTS Posterior vitreous detachment (PVD) It refers to the separation of the cortical vitreous from the retina anywhere posterior to vitreous base. PVD with vitreous liquefaction (synchysis) and collapse (synersis) is of common occurrence in majority of the normal subjects above the age of 65 years. It occurs in eyes with senile liquefaction, developing a hole in the posterior hyaloid membrane. The synchytic fluid collects between the posterior hyaloid membrane and the internal limiting membrane of the retina, and leads to PVD up to the base along with collapse of the remaining vitreous gel (synersis). Clinical features: PVD may be associated with flashes of light and floaters. Biomicroscopic examination of the vitreous reveals a collapsed vitreous (synersis) behind the lens and an optically clear space between the detached posterior hyaloid phase and the retina. A ring-like opacity (Weiss ring or Fuchs ring), representing a ring of attachment of vitreous to the optic disc, is pathognomic of PVD. Ref:- A K KHURANA; pg num:-244,245